Investigation of choice for detection of syphillis in a patient after 2 course of complete therapy -
1. FTA ABS
2. VDRL
3. TPI
4. Dark ground microscopy

Correct answer: 2. VDRL